The number of point angles in a permanent mandibular first molar is:
1. 6
2. 8
3. 4
4. 10

Correct answer: 3. 4